Cardiac orifice of stomach is located at level of which vertebra:
1. T 9
2. T 10
3. T 11
4. L 1

Correct answer: 3. T 11

Explanation: The opening from the oesophagus into the stomach is the cardiac orifice. It is typically situated to the left of the midline behind the seventh costal cartilage at the level of the eleventh thoracic vertebra.Ref: Gray's anatomy 40th edition, Chapter 71.